NOT true about fresh water drowning:
1. Hyperkalemia
2. Hypovolemia
3. Ventricular fibrillation
4. Hemolysis

Correct answer: 2. Hypovolemia

Explanation: Ans. Hypovolemia